Calcaneum is associated most commonly with which # -
1. # rib
2. # vertebrae
3. # skull
4. # fibula

Correct answer: 2. # vertebrae

Explanation: Most common mechanism of injury is fall from height, often from a ladder, onto one or both heels. The calcaneum is driven up against the talus and is split or crushed.
About one fifth of these patients suffer associated injuries of the spine, pelvis or hip.